Water lily sign on chest X-ray is seen in -
1. Pulmonary Tuberculosis
2. Pulmonary Hydatid cyst
3. Cryptococcosis
4. Aspergillosis

Correct answer: 2. Pulmonary Hydatid cyst